Griseofulvin is given for the treatment of onychomycosis for finger nail for a period of:
1. 2 weeks
2. 6 weeks
3. 2 months
4. 6 months

Correct answer: 4. 6 months

Explanation: The treatment of dermatophytosis using Griseofulvin is as follows: Dosage - 125 - 250 QID with meal Finger nails - 4 - 6 months Toenails - 8 - 12 months Ref: Illustrated Synopsis of Dermatology and STD's By Neena Khanna, Page 121